Diagnostic test for corneal ulcer:
1. Methylene blue
2. Sodium fluorescein dye
3. Alcian blue
4. Rose Bengal

Correct answer: 2. Sodium fluorescein dye

Explanation: Ans. B: Sodium fluorescein dyeDirect observation under magnified view of slit lamp may reveal the ulcer on the cornea.Fluorescein stain is taken up by exposed corneal stroma and appears green and it helps in defining the margins of the corneal ulcer, and can reveal additional details of the surrounding epithelium.Herpes simplex ulcers show a typical dendritic pattern of staining. Rose-Bengal dye is also used for supra-vital staining purposes, but it may be very irritating to the eyes.